False vitality results are common in posterior tooth are most commonly due to
1. Presence of vital pulp tissue in one of the canals
2. Thickness of the enamel
3. Presence of pulp stones
4. Thickness of dentine

Correct answer: 1. Presence of vital pulp tissue in one of the canals